Which day is considered as "World anaesthesia day"?
1. 16th September
2. 16th October
3. 16th November
4. 16th December

Correct answer: 2. 16th October

Explanation: Ans. (b) 16th OctoberRef.: Miller's 7/e, ch-1, Operations that made history by Harold Ellis understanding anaesthesia by Pillai p 15